Bruxism causes the following Except
1. Attrition of primary & permanent teeth
2. TMJ disorder
3. Muscular tenderness
4. Caries

Correct answer: 4. Caries